The hepatocellular pattern of liver injury in DILI ( drug induced liver injury) is defined by:
1. AST > 3 x upper limit of normal
2. ALT/ALP ratio more than 5
3. ALT and ALP more than 3 times upper limit of normal
4. ALT/ALP ratio between 2-5

Correct answer: 2. ALT/ALP ratio more than 5

Explanation: Hepatocellular pattern of liver injury is denoted by ALT > 2-3 times upper limit of normal and normal ALP or ALT/ALP ratio > 5 Ref: Schiff's diseases of liver, Edition -11, Page - 715.